All of the following are true about multiple myeloma except -
1. Osteolytic bone disease
2. (18-14) translocation
3. Light chain proliferation
4. Bence-Jones proteins in urine

Correct answer: 2. (18-14) translocation

Explanation: The chromosomal alterations in multiple myeloma include translocations in t(11;14) & t(4;14) & deletion of 13q.Reference : Harsh mohan textbook of pathology 6th edition pg no 381.